Which muscle originates from tendon of other muscle?
1. Palmaris longus
2. FCR
3. Lumbricals
4. Adductor pollicis

Correct answer: 3. Lumbricals

Explanation: -Origin of the following muscles are as follows:-Lumbricals 1 and 2 from lateral side of lateral 2 tendons of flexor digitorum profundus.Lumbricals 3 and 4 from adjacent sides of medial 3 tendons of flexor digitorum profundus.-Palmaris longus and flexor carpi radialis from medial epicondyle of humerus by a common flexor origin.-Adductor pollicis has two heads of origin: the oblique head arises from anterior aspects of capitate bone and bases of 2nd and 3rd metacarpal bones. The transverse head arises from ridge on distal 2/3 of anerior surface of shaft of 3rd metacarpal.-reference: Textbook of anatomy, Upper limb, and thorax, Vishram Singh, 2nd edition, page no.144,107,108